All are true about lichen planus except:
1. Not associated with oral ulcer
2. Wikham'sstriae present
3. Colloid body on histology
4. Morphology can be represented by 5 'P'

Correct answer: 1. Not associated with oral ulcer

Explanation: Ans. A. Not associated with oral ulcerLichen Planus:Oral lesions (Lacey reticulate pattern):It may be asymptomatic or patient may complain of burning sensation especially on eating spicy foods.When viewed under a magnifying lens, surface of the lesions has white streaks (Wickham's striae)Morphology (5Ps): Pruritic, Polygonal, Purple (but violaceous is the term to use), Plane (flat topped), papules.Age: 10-40 year184.Koebner or isomorphic phenomenon may be presentHistopathology: colloid body, basal cell degeneration, band like upper dermal infiltrate, Max foseph's space, thickened granular layer